The only sensory modality which does not reach the thalamus directly is:
1. Proprioception
2. Taste
3. Olfaction
4. Pain and temperature

Correct answer: 3. Olfaction

Explanation: Ans. C. Olfaction"Smell pathways (olfaction) have no relay in the thalamus; & there is no neocortical projection area for olfaction.